Cell wall deficient organisms are -
1. Chlamydia
2. Mycoplasma
3. Staphylococcus
4. Clostridium

Correct answer: 2. Mycoplasma

Explanation: Mycoplasmas(PPLO) are bacteria that are cell wall deficient and hence do not possess morphology (JOKER OF PLANT KINGDOM). They occur as round or oval bodies and as interlacing filaments